Which amino acid released from muscles is an important substrate for gluconeogenesis?
1. Alanine
2. Serine
3. Arginine
4. None of the above

Correct answer: 1. Alanine

Explanation: In the fasting state, there is a considerable output of alanine from skeletal muscle, far in excess of its concentration in the muscle proteins that are being catabolized. It is formed by transamination of pyruvate produced by glycolysis of muscle is a substrate for gluconeogenesis by the glucose-alanine cycle Ref: Harper 28th edition, chapter 20.